Mycotic abcesses are due to
1. Bacterial Infection
2. Viral infection
3. Fungal infection
4. Mixed infection

Correct answer: 3. Fungal infection

Explanation: As the name suggests , mycotic abcesses are caused by fungal infections . However mucous aneurysm is caused due to bacterial infection of arterial wall . The infection weakens the wall and causes aneurysm .